Which is not a criteria for overcrowding -
1. No. of persons
2. Sex separation
3. Door and window
4. Floor space

Correct answer: 3. Door and window

Explanation: Ans. is 'c' i.e., Door and window Overcrowdingo Overcrowding is a health problem in human dwellings. It may promote the spread of respiratory infections such as tuberculosis, influenza and diphtheria. High morbidity and mortality rates are observed where housing conditions are substandard. The accepted standards with respect to overcrowding are as below :1) PERSONS PER ROOM : The degree of overcrowding can best be expressed as the number of persons per room, i.e.. number of persons in the household divided by the number of rooms in the dwelling. The accepted standards are :1. room- 2 persons2. rooms- 3 persons3. rooms- 5 persons4. rooms- 7 persons5. or more rooms- 10 persons (additional 2 for each further room)2) FLOOR SPACE : The accepted standards are :110 sq.ft. (11 sq. m.) or more- 2 persons90-100 sq.ft. (9-10 sq. m.)- 1 1/2 persons70-90 sq.ft. (7-9 sq. m.)- 1 persons50-70 sq.ft. (5-7 sq. m.)- 1/2 personsUnder 50 sq. ft (5 sq. m)- Nil(A baby under 12 months is not counted; children between 1 to 10 years counted as half a unit).o SEX SEPARATION : Overcrowding is considered to exist if 2 persons over 9 years of age, not husband and wife, of opposite sexes are obliged to sleep in the same room.